Highest impulse discharge frequency from baroreceptors will be at what blood pressure?
1. 60 mm Hg
2. 100 mm Hg
3. 150 mm Hg
4. 180 mm Hg

Correct answer: 4. 180 mm Hg

Explanation: - The range for baroreceptor function is 60-180 mm Hg. - The normal set point for baroreceptors is 100 mm Hg. - At 100 mm Hg, there is a steady impulse discharge from baroreceptors to the VMC. - When BP increases --> impulse discharge increases; when BP decreases --> impulse discharge decreases. - Thus, impulse discharge will be maximum at 180 mm Hg.